Lapsed union of skull sutures is commonly noted in:-
1. Metopic suture
2. Coronal suture
3. Saggital suture
4. Lambdoid suture

Correct answer: 3. Saggital suture

Explanation: In skull, Ectocranial suture closure is very variable. Sometimes, there may not be ectocranial suture closure. This is called lapsed union. This occurs most often in the sagittal suture.